VEGF action is?
1. Vasodilatation
2. Angiogenesis
3. Fibrogenesis
4. Chemotaxis

Correct answer: 2. Angiogenesis

Explanation: Ans. is 'b' i.e., Angiogenesis* The most important growth factor for angiogenesis is vascular endothelial cell growth factor (VEGF) which induces the migration of endothelial precursor cells (EPCs) from bone marrow, and enhances proliferation and differentiation of these cells at site of angiogenesis.